Tip diameter of a no. 245 bur is ______mm
1. 0.8
2. 1.2
3. 1
4. 1.5

Correct answer: 1. 0.8

Explanation: It is inverted cone shape with diameter .8mm and length 3mm.